Wide pulse pressure is seen in all except:
1. PDA
2. Aortic stenosis
3. Aortic Regurgitation
4. A.V. malformation

Correct answer: 2. Aortic stenosis

Explanation: Aortic Stenosis is associated with a narrow pulse pressure. Patent Ductus Arteriosus (PDA), Aortic Regurgitation and AV Malformations (Arteriovenous shunting) are all associated with a wide pulse pressure. REF: Harrison book of internal medicine 21ST EDITION